All of the following are true about vasa previa except:
1. Incidence is 1:2000 deliveries
2. Fetal mortality rate of 10% with undiagnosed case
3. Associated with low lying placenta
4. Cesarean section is indicated

Correct answer: 2. Fetal mortality rate of 10% with undiagnosed case

Explanation: Vasa previa - It is a condition in which the fetal blood vessels unsupported by either umblical cord or placental tissue,Overlies the internal os and is vulnerable to rupture when supporting membrane rupture. Bleeding in case of vasa previa is of fetal origin and not maternal origin. Fetal mortality is often more than 50% It is rare condition and occurs in 1 in 2000 - 3000 deliveries Vasa previa can be associated with - Velamentous cord insertion - Bilobed placenta - Succenturiate lobed placenta - Placenta previa /low lying placenta in second trimester (option 'c' is correct) Management- In a diagnosed case of vasa previa elective cesarean section should be done or emergency LSCS should Be done if it is diagnosed intrapartum.